Diacetylmorphine is commonly called as
1. Heroin
2. Cocaine
3. Apomorphine
4. Marijuana

Correct answer: 1. Heroin

Explanation: Ans. is 'a' i.e., Heroin * Diacetylmorphine is Heroin.